In tandem bullet, number fired is
1. 1
2. 2
3. 3
4. 4

Correct answer: 2. 2

Explanation: TANDEM BULLET or PIGGY BACK BULLET : Two bullets are ejected in same shot one after other. Ref : Krishnan vij Textbook of Forensic medicine and Toxicology 5th edtion ; pg no - 229